Right border of heart is formed by ?
1. Right ventricle
2. Right atrium
3. SVC
4. IVC

Correct answer: 2. Right atrium

Explanation: External features of heart The heart has following borders and surfaces :- A) Borders i) Right border :- Formed by right atrium. ii) Left border (obtuse margin):- Formed mainly by left ventricle and partly by left auricle (in its upper most part). iii) Inferior border (acute margin):- Formed mainly by right ventricle and partly by left ventricle near apex. iv) Upper border :- Mainly by left atrium and partly by right atrium where SVC enters. v) Apex :- Formed by left ventricle. B) Surfaces i) Anterior (sternocostal) surface :- Formed mostly by right ventricle (major) and right auricle and partly by left ventricle and left auricle. ii) Inferior (diaphragmatic) surface :- It is formed by left ventricle (left 2/3) and right ventricle (right 1/3). It is traversed by posterior interventricular groove (PIV) containing PIV branch of RCA.